In starvation activities of all of the following enzymes is increased Except
1. Pyruvate carboxylase
2. Pyruvate kinase
3. PEP carboxykinase
4. Glucose 6 phosphatase

Correct answer: 2. Pyruvate kinase

Explanation: In the starvation activity of all enzymes responsible for gluconeogenesis are increased.Pyruvate kinase is the enzyme of glycolysis. The activity of enzymes of glycolysis is suppressed in starvation. So pyruvate kinase activity is suppressed in starvation.All other enzymes given in this question are gluconeogenic enzyme whose activity is enhanced by starvation.